According to CDC, past smoker is
1. Person who had smoked >100 cigarettes previously and is not smoking currently
2. Person who has smoked >10 cigarettes previously and is not smoking currently
3. Person who has smoked >100 cigarettes previously and  reduces to 10 cigarettes per day
4. Person who has smoked > 100 cigarettes in his or her lifetime, who smokes now, but does not smoke every day

Correct answer: 1. Person who had smoked >100 cigarettes previously and is not smoking currently